Which of the following silver amalgam alloy have the maximum strength:
1. Admixed alloy
2. Spherical
3. Single composition
4. Lathe cut

Correct answer: 3. Single composition

Explanation: Increasing order of strength of amalgam alloys:
Low copper<Admixed alloy<Single composition.